In pemphigus circulating antibodies attack:
1. Desmoglein 1&2.
2. Desmoglein1&3.
3. Desmoglein1&4.
4. Desmoglein2&4.

Correct answer: 2. Desmoglein1&3.

Explanation: Pemphigus

Is a skin and mucous membrane disease with autoimmune etiology.
Characterized histologically by intradermal blisters circulating IgG (IgG1 and IgG4) antibody against keratinocyte cell surface (attack Desmoglein 1 and 3).